Which of the following statements concerning Hassall corpuscles is true?
1. They are located in the thymic cortex of young individuals.
2. They are located in the thymic cortex of old individuals.
3. They are derived from mesoderm.
4. They are located in the thymic medulla

Correct answer: 4. They are located in the thymic medulla

Explanation: Hassall corpuscles are epithelial reticular cells (derived from endoderm) found only in the medulla of the thymus.